Many young adults & children are admitted in emergency department with complaint of exacerbation of asthma on may 2nd, which is a very hot day. There is no history of chronic bronchitis/ heart diseases among these patients. Which of the following pollutant is most common cause of this condition?
1. Ozone
2. Carbon dioxide
3. Nitrogen dioxide
4. Sulphur oxide

Correct answer: 1. Ozone

Explanation: Given clinical scenario suggest towards the pollutant Ozone Ozone: Ozone at ground level is one of the major constituents of photochemical smog. It is formed by photochemical reaction of sunlight with pollutants such as nitrogen oxides from vehicle, industry emissions and volatile organic compounds (VOCs) . Highest levels of ozone pollution occurs during periods of sunny weather. Excessive ozone in the air can have a marked effect on human health. It can cause breathing problems, trigger asthma, reduce lung function and cause lung diseases. Other important pollutants are carbon monoxide, carbon dioxide, hydrogen sulphide, sulphur dioxide, sulphur trioxide, nitrogen oxides etc.